Which of the following chemotherapeutic agents is specific for the M phase of the cell cycle?
1. Cytarabine
2. Daunorubicin
3. Hydroxyurea
4. Vincristine

Correct answer: 4. Vincristine

Explanation: Vincristine (and vinblastine) are Vinca alkaloids that bind to tubulin, a component of cellular microtubules. This leads to disruption of the mitotic spindle apparatus and results in metaphase arrest since the chromosomes are unable to segregate. Since these drugs interfere with mitosis, they are considered cell-cycle specific for the M phase. Cytarabine belongs to the class of antineoplastics that are antimetabolites. This drug class interferes with normal metabolic pathways by competing for enzymatic sites. Specifically, cytarabine (Ara-C) is a pyrimidine nucleoside analog. It interrupts DNA synthesis and function by inhibiting DNA polymerase and incorporating into the DNA or RNA of the cell. As you would expect, this drug is cell-cycle specific for the S phase. Daunorubicin is one of the antibiotic antineoplastic agents (others include dactinomycin, doxorubicin, bleomycin, plicamycin, and mitomycin). These agents work by disrupting DNA functioning. Daunorubicin binds to DNA between base pairs on adjacent strands, resulting in uncoiling of the helix and destruction of the DNA template. While this drug has its maximum effect during the S phase, it is not cell-cycle specific. (Note: the only antibiotic that is cell-cycle specific is bleomycin.) Hydroxyurea works by interfering with ribonucleoside diphosphate reductase, the enzyme responsible for generating the deoxyribonucleotides needed for DNA synthesis. It is S-phase specific. Ref: Chu E., Saorelli A.C. (2012). Chapter 54. Cancer Chemotherapy. In B.G. Katzung, S.B. Masters, A.J. Trevor (Eds), Basic & Clinical Pharmacology, 12e.